The bases which are present in human DNA?
1. Adenine-guanine-thiamine- uracil
2. Adenine-guanine- cytosine-uracil
3. Adenine- guanine-cytosine-thymine
4. None of the above

Correct answer: 3. Adenine- guanine-cytosine-thymine

Explanation: Double-stranded (ds) Has adenine- guanine-cytosine-thymine Has Deoxyribose DNA does not contain Uracil 2 strands are held together by hydrogen bonds. There are covalent bonds (3' 5' phosphodiester bonds) in sugar-phosphate backbone.